Which of the following is false regarding alpha helix?
1. Stability of an alpha helix arises primarily from the peptide bond
2. A complete turn of an alpha helix contains 3.6 amino acyl residues.
3. Pitch of the helix is 0.54nm
4. Large numbers of charged aminoacids such as glutamate disrupt the helix,

Correct answer: 1. Stability of an alpha helix arises primarily from the peptide bond

Explanation: Alpha helix is stabilized primarily by intra chain hydrogen bonds. Alpha helix is the most common and stable secondary structure. A complete turn of the helix contains an average of 3.6 aminoacyl residues. Large numbers of charged amino acids(glutamte,aspartate,histidine,lysine,and arginine) disrupt the helix by forming ionic bonds or by electrostatically repelling each other. Reference: Harpers illustrated Biochemistry 30th edition page 38